Vocal cord is lined by
1. Stratified columnar epithelium
2. Stratified squamous epithelium
3. Cuboidal epithelium
4. Pseudociliated columnar epithelium

Correct answer: 2. Stratified squamous epithelium

Explanation: MUCOUS MEMBRANE OF THE LARYNX It lines the larynx and is loosely attached except over the posterior surface of epiglottis, true vocal cords and corniculate and cuneiform cartilages. Epithelium of the mucous membrane is ciliated columnar type except over the vocal cords and upper part of the vestibule where it is stratified squamous type. Mucous glands are distributed all over the mucous lining and are particularly numerous on the posterior surface of epiglottis, posterior part of the aryepiglottic folds and in the saccules. There are no mucous glands in the vocal folds. Ref:- Dhingra; pg num:-285